Uveoscleral outflow is increased by -
1. Timolol
2. Bimatoprost
3. Mannitol
4. Dorzolamide

Correct answer: 2. Bimatoprost

Explanation: Ans. is 'b' i.e., Bimatoprost Mechanism of action of pharmacological agents in POAGAgentMechanism of actiono b-blocker (Timolol, Betaxolol, levobunolol, carteolol)o Prostaglandins (latanoprost, bimatoprost, travoprost)o Alpha agonists# Non-selective (Epinephrine, Dipivefrine)# Selective a-2 (Aproclonidine, Brimonidine)o Carbonic anhydrase inhibitors (Dorzolamide, Brinzolamide, Acetazolamide)o Cholinomimetics (Pilocarpine, physostigmine, carbachol, echothiphate)o Hyperosmotic agents (Mannitol, glycerol)o Decreased aqueous secretion from ciliary epitheliumo Increased uveoscleral aqueous outflowIncreased uveoscleral aqueous outflowDecreased aqueous secretiono Decreased aqueous secretion due to lack of HCO3-o Increased aqueous outflow due to opening of trabecular meshwork due to ciliary muscle contractiono Reduce vitreous volume and deepen anterior chamber